Ramesh thigh, a 40 yrs old man, was admitted with fracture shaft femur following a road traffic accident. He was tachypnoeic, and had conjunctival petechiae. Most likely diagnosis is -
1. Pulomary embolism
2. Sepsis syndrome
3. Fat embolism
4. Hemothorex

Correct answer: 3. Fat embolism

Explanation: This patient has also developed classical triad of fat embolism :-


Respiratory symptom :- Tachypnea
Neurological symptom :- Disorientation
Petechial rash :- Conjunctival petechiae